Which one of the following is not a measure of dispersion -
1. Mean
2. Range
3. Mean deviation
4. Standard deviation

Correct answer: 1. Mean

Explanation: The measures of dispersion are; - the range - the mean deviation - the standard deviation Reference : Park's textbook of preventive and social medicine, 23rd edition, pg no:848